Delirium tremens seen in:
1. Alcohol withdrawal
2. Alcohol intoxication
3. Opioid intoxication
4. Opioid withdrawal

Correct answer: 1. Alcohol withdrawal

Explanation: Ans. Alcohol withdrawal